Peripheral eosinophilla is not a characteristic  feature of-
1. Allergic aspergillosis
2. Hypersensitivity pneumonitis
3. Tropical eosinophilia
4. Loeffler's syndrome

Correct answer: 2. Hypersensitivity pneumonitis

Explanation: Hypersensitivity pneumonitis or extrinsic allergic alveolitis,is an inflammatory disorder of the lung involving alveolar walls and terminal airways that is induced by repeated inhalation of a variety of organic agents in a susceptible host.Bronchoalveolar lavage in patients with HP consistently demonstrates an increase in T lymphocytes in lavage fluid.Patients with recent exposure to antigen may have an increase in polymorphonuclear leukocytes in lavage fluid.
Loeffler's syndrome,Allergic bronchopulmonary aspergillosis and tropical eosinophilia are all examples for diseases with pulmonary infiltrates and eosiniphilia in peripheral smear.